Stocker's line is seen in:
1. Pinguencula
2. Pterygium
3. Congenital Ocular Melanosis
4. Congenital epithelial melanosis

Correct answer: 2. Pterygium

Explanation: B i.e. Pterygium